The following is true about endotracheal cuff. It has-
1. high volume, low pressure
2. Low volume, low pressure
3. High volume, high pressure
4. Equal volume and pressure

Correct answer: 1. high volume, low pressure

Explanation: cuff pressue * Low volume high pressure: # Require inflation to a high pressure to effect a seal with trachea. #The pressure within a low volume cuff does not relate to the pressure exerted by the cuff on the trachea. # However, a high pressure may be exerted on the mucosa if the cuff is overinflated. This may occur inadvertently during anesthesia because nitrous oxide diffuse through some type of plastic. #Some anaesthetists innate the cuff with an oxygen/nitrous mixture to obviate this problem. Alternatively. Also,a lower incidence of sore throat is seen with high pressure cuff. ref : willey 10th ed